Term café coronary was coined by
1. J Morton
2. Roger Haugen
3. Neil Markson
4. M. Hoppefiel

Correct answer: 2. Roger Haugen

Explanation: Cafe coronary was coined by Dr Roger Haugen, Medical examiner of Broward, Florida for impaction of food in the respiratory passage.
The original series of deaths involved well-nourished businessmen dying suddenly & unexpectedly in restaurants & cafes while sitting or shortly after sitting in a chair as if they died of heart attack. 
Hence, the name 'cafe coronary'. However, the autopsy reveals a bolus of food in the pharynx or larynx.